In Hartnup's disease, the following amino acids are excreted into the urine
1. Basic amino acids
2. Acidic amino acids
3. Neutral amino acids
4. Hydrophilic aminoacids

Correct answer: 3. Neutral amino acids

Explanation: Hartnup disease reflects impaired intestinal and renal transport of tryptophan and other neutral amino acids.The defect limits tryptophan availability for niacin biosynthesis and accounts for the pellagra-like signs and symptomsHarper 30th edition Pg: 308